Difference in acne rosacea & acne vulgaris -
1. Pustule
2. Erythema
3. Papule
4. Absence ofcomedone

Correct answer: 4. Absence ofcomedone

Explanation: Ans. is 'd' i.e., Absence of comedone o Erythema and papulo-pustole (papules and pustules) are seen both in acne rosacae and acne vulgaris, o Comedones are absent in acne rosacae (a charactristic feature of acne vulgaris). Papulopustular rashes any where | Photosensitive No Yes o Erythmatous papule /pustule o Papulopustular lesion on comedones erythmatous - Telengectasic No Telangectesia background o No H/O flushing o H/Oflushing (+)nt o On cheeks, forehead, o Cheeks, forehead, chin chin, nose & temporal nose with sparing of regions periorbital & perioral o Can extend to neck, regions shoulder, central chest o Does not extend below face o Age group - Adolescent & o Age group - 30-50 years early adult | | Note - Malar area of face is the area of prominence of cheeks.